Aldosterone acts chiefly on which of the following cells:
1. DCT
2. PCT
3. Loop of Henle
4. Glomerulus

Correct answer: 1. DCT

Explanation: Ans. A: DCT Aldosterone acts on the principal (P) cells of DCT and collecting tubules Aldosterone It increases the reabsorption of sodium ions and water and the secretion of potassium ions in the collecting ducts and distal convoluted tubule of the kidneys' functional unit, the nephron. This increases blood volume and, therefore, increases blood pressure. Drugs that interfere with the secretion or action of aldosterone are in use as antihypertensives. One example is spironolactone, which lowers blood pressure by blocking the aldosterone receptor. Aldosterone is part of the renin-angiotensin system. Aldosterone is a yellow steroid hormone (mineralocorticoid family) produced by the outer-section (zona glomerulosa) of the adrenal cortex. The overall effect of aldosterone is to increase reabsorption of ions and water in the kidney. Its activity is reduced in Addison's disease and increased in Conn's syndrome.